Mixed lymphocyte culture is useful for identification of which of the following cells?
1. MHC class I antigen
2. MHC class II antigen
3. B lymphocytes
4. Natural killer cells

Correct answer: 2. MHC class II antigen

Explanation: MHC class I antigen are expressed on all nucleated cells and platelets. Technique by which we detect the presence of MHC Class I antigen is alloantisera. MHC class II antigens are expressed on the surface of all APC's. (Antigen Presenting Cells). Technique by which we detect the presence of MHC class II antigen is Mixed lymphocyte culture. The genes encoding MHC molecules are clustered on a small segment of chromosome 6.